Rate of elimination of a new drug is 20 mg/hr at a steady state plasma concentration of 10 mg/L, then its renal clearance will be:
1. 0.5 L/hr
2. 2.0 L/hr
3. 5.0 L/hr
4. 20 L/hr

Correct answer: 2. 2.0 L/hr